The most common underlying anomaly in a child with recurrent urinary tract infection is:
1. Posterior urethral valves
2. Vesicoureteric reflux
3. Neurogenic bladder
4. Renal calculi

Correct answer: 2. Vesicoureteric reflux

Explanation: * 30-35% children with UTI have VUR Recurrent UTI are observed in 30-50% children, usually within 3 months of the first episode. Predisposing factors for recurrent UTI include female sex, age below 6 months, obstructive uropathy, severe vesicoureteric reflux (VUR), habitual postponement of voiding (voiding dysfunction), constipation and repeated catheterization, e.g. for neurogenic bladder.